In Burkitts lymphoma, translocation seen is chromosome?
1. 12 - 14 translocation
2. 8 - 14 translocation
3. 4 - 8 translocation
4. 12- 18 translocation

Correct answer: 2. 8 - 14 translocation

Explanation: Ans. is 'b' i.e., 8-14 translocation